All of the poisons caused uterine contractions EXCEPT:
1. Lead
2. Arsenic
3. Ergot
4. Quinine

Correct answer: 2. Arsenic

Explanation: ANSWER: (B) ArsenicREF: Forensic medicine and Toxicology by R N Karmakar 3rd edition page 230, Parikh 6th edition various pageABORTIFACI ENT DRUGS:EcbolicsIncreases uterine contractionErgot, Quinine, Pituitary extract, LeadEmmenagoguesIncreases menstrual flow (abortifacient in large repeated doses)Cantharides, Aloes, EstrogenGI irritantsIrritation of colon and congestion of pelvic organsArsenic, Mercury